Single most important prognostic indicator of colorectal carcinoma is -
1. CEA titres
2. Degree of atypia
3. Size of tumor
4. Extent of tumour

Correct answer: 4. Extent of tumour

Explanation: The single most important prognostic indicator of colorectal carcinoma is the extent of the tumor at the time of diagnosis, the so-called stage.